'Griesinger sign' is otalgia along with pain and edema over mastoid. It is typically seen in:
1. Lateral sinus thrombosis
2. Acoustic neuroma
3. Otosclerosis
4. CSOM

Correct answer: 1. Lateral sinus thrombosis

Explanation: Lateral sinus thrombosis is a ominous complication of acute OM. It arises from extension of infection and inflammation in the mastoid, with eventual inflammation of the adjacent lateral or sigmoid sinus. Headache is the most common symptom, with papilledema, sixth-nerve palsy, and vertigo being less frequently present. Occlusion of the lateral sinus produces pain over the ear and mastoid and may cause edema over the mastoid (Griesinger sign). Involvement of cranial nerves V and VI produces ipsilateral facial pain and lateral rectus weakness (Gradenigo syndrome).